A 35-year-old premenopausal patient as recently developed a 1.5 cm sized pigmented lesion on her back. Which of the following forms of tissue diagnosis will you recommend for her?
1. Needle biopsy
2. Trucut biopsy
3. Excision biopsy
4. Incisional biopsy

Correct answer: 3. Excision biopsy

Explanation: Ans. is 'c' i.e. Excision biopsy The pigmented lesion in this patient should be evaluated for possibility of malignant melanoma and hence biopsied.The choice of biopsy depends on the size of the lesion and anatomic location.Method of choice is excisional biopsyIn circumstances when complete excisional biopsy could not be performed, punch biopsy or incisional biopsy should be done. These conditions are : large lesion whose removal would create too large a defect, proximity of lesion to important structures such as the eye, nose or ear.Biopsy specimens should be full thickness into subcutaneous tissue.